Chlamydia trachomatis is associated with the following except -
1. Endemic trachoma
2. Inclusion conjunctivitis
3. Lymphogranuloma venereum
4. Community acquired pneumonia

Correct answer: 4. Community acquired pneumonia